Which of the following is false about clavicle
1. Ossify partly in membrane and partly in cartilage
2. Transmits part of the weight of upper limb to the axial skeleton
3. It is subcutaneous throughout its length
4. Fractures typically occur at the junction of medial 1/3rd and lateral 2/3rd

Correct answer: 4. Fractures typically occur at the junction of medial 1/3rd and lateral 2/3rd

Explanation: Fracture of the clavicle typically occur at the junction of the medial 3/5th and lateral 2/5th. Middle-third or midshaft region of the clavicle is the most common site for a fracture, especially the junction of medial 3/5th and lateral 2/5th It is the junction where the 2 primary ossification centers meet. It is also where the transition from the antecurve to retrocurve begins and is prone to be high risk for fractures. Ref: Gray's Anatomy 41st edition Pgno: 801